Green coloured i.v. cannula, the size is -
1. 18
2. 20
3. 22
4. 24

Correct answer: 1. 18

Explanation: Ans. is 'a' i.e., 18Colour coding of iv cannuleSizeColour14 gOrange16 gGrey18 gGreen20 gPink22 gBlue24 gYellow/lime